Non-contrast spiral CT is investigation of choice for
1. Acute ureteric colic
2. Acute pulmonary embolism
3. Acute mesenteric ischemia
4. Acute prolapsed intervertebral disc

Correct answer: 1. Acute ureteric colic

Explanation: NCCT (Non-contrast spiral/helical CT) is widely used and currently study of choice for renal colic.